Which of the following is false regarding hereditary pancreatitis?
1. Mutation of cationic trypsinogen gene
2. Autosomal recessive inheritance
3. Hereditary pancreatitis is associated with chromosome 7
4. Increased risk of pancreatic cancer

Correct answer: 2. Autosomal recessive inheritance

Explanation: Hereditary pancreatitis: Early age of onset Hereditary pancreatitis gene is located on chromosome 7. Mutations in ion codons 29 (exon 2) and 122 (exon 3) of the cationic trypsinogen gene Autosomal dominant pattern C/F- Recurring attacks of severe abdominal pain Patients frequently develop pancreatic calcification, diabetes mellitus, and steatorrhea Increased incidence of pancreatic carcinoma Serum amylase and lipase levels may be elevated during acute attacks but are usually normal.